Unit of one of radiation absorbed is -
1. Grey
2. Roengten
3. Curie
4. Bequerrel

Correct answer: 1. Grey

Explanation: Park's textbook of preventive and social medicine 23rd edition. * Gray(Gy) is the unit of absorbed dose, defined as the dose of ionizing that impart 1 Joule of energy to 1kg of absorbing material.